When a homicide case comes to a doctor, he has to inform police. This comes under which section?
1. 39 Crpc
2. 27 Crpc
3. 174 Crpc
4. 176 Crpc

Correct answer: 1. 39 Crpc

Explanation: Every person, aware of the Commission of certain offences shall give information to the nearest Magistrate or police officer.This comes under 39 Crpc section. Examples of such offences are: Offences relating to adulteration of food and drugs, etc Offences affecting life (302, 303, 304 IPC) Offence relating to kidnapping for ransom (364AIPC) Offences of robbery and dacoity